The stapes is a derivative of which of the following pharyngeal arch?
1. 1st arch
2. 2nd arch
3. 3rd arch
4. 4th arch

Correct answer: 2. 2nd arch

Explanation: Structures derived from second pharyngeal arch are stapes, styloid process of temporal bone, lesser cornu of hyoid bone and upper part of hyoid bone. Skeletal and ligamentous elements derived from pharyngeal arches: First archMalleus and incusPortions of the mandibleMeckels cartilageSphenomandibular ligamentAnterior ligament of malleusSecond archstapesStyloid process of temporal boneLesser cornu of hyoid boneUpper part of hyoid boneThird archGreater cornu of hyoid boneLower part of hyoid boneFourth archThyroid cartilageCricoid cartilageArytenoid cartilageCorniculate and Cuneiform cartilage Ref: General Anatomy and Musculoskeletal System (THIEME Atlas of Anatomy) By Michael Schuenke, page 12.